Clinical evidence of dentinogenesis imperfecta is
1. Defective enamel and dentine
2. Defective dentine and obliterated pulp chamber
3. Increased rate of caries
4. Oligodontia

Correct answer: 2. Defective dentine and obliterated pulp chamber